"Row of tombstones" appearance is seen in:
1. Irritant dermatitis
2. Pemphigus
3. Pemphigoid
4. Herpes zoster

Correct answer: 2. Pemphigus

Explanation: Histopathology of pemphigus vulgaris Earliest changes -intercellular edema + disappearance of intercellular bridges in the lower most epidermis. Loss of coherence between epidermal cells (acantholysis) --> formation of clefts -->bullae in the suprabasal zone. Basal cells remain attached to the dermis, producing a "tombstone" appearance. Acantholytic cells are present in the bulla cavity. Scanty perivascular inflammatory infiltrate composed of lymphocytes, histiocytes and occasional eosinophils, neutrophils, and plasma cells is present